Function of Golgi apparatus is
1. Synthesis of protein
2. Maturation of protein
3. Degradation of protein
4. Sequencing of protein

Correct answer: 2. Maturation of protein

Explanation: Organization of the Golgi is directed at proper glycosylation of proteins and lipids. There are more than 200 enzymes that function to add, remove, or modify sugars from proteins and lipids in the Golgi apparatus. Membranous vesicles containing newly synthesized proteins bud off from the granular endoplasmic reticulum and fuse with the cistern on the cis side of the apparatus. The proteins are then passed other vesicles to the middle cisterns and finally to the cistern on the trans side, from which vesicles branch off into the cytoplasm.(REF: GANONG'S REVIEW OF MEDICAL PHYSIOLOGY 23rd EDITION page no.42)